Which of the following is true about mandibular lingual bar with continuous bar?
1. Indicated when a linguoplate is otherwise indicated, but the axial alignment of anterior teeth is such that excessive blockout of interproximal undercuts would be required.
2. Indicated when wide diastema exist between mandibular anterior teeth and a linguoplate would objectionably display metal in a frontal view.
3. Both
4. None of the above

Correct answer: 3. Both